Resistance form of cavity preparation is:
1. Flat pulp floor
2. enough depth of the cavity
3. Restricted size of the external walls
4. all of the above

Correct answer: 4. all of the above